Right superior oblique palsy can lead to all except:
1. Diplopia on downward and inward gaze
2. Right Head tilt
3. Extorsion
4. Hypertropia

Correct answer: 2. Right Head tilt

Explanation: Now understand this: Superior Oblique action is Intorsion, Depression in adduction, better Intoer on Abduction. Patients complain of diplopia - vertical, diagonal or torsiona.l If the principal complaint is torsion - B\L palsy should be suspected RIGHT SUPERIOR OBLIQUE PALSY *Now in Fig a, you can see that on right head tilt there is elevation and slight esotropia, which is not seen on left head tilt. So patient would like to have left head tilt. So remember mnemonic BOOT- Better on opposite tilt *Similarly it would be worse on opposite gaze, means more dipolopia in levoversion. So remember mnemonic- WOOG EXTRA EDGE: - Brown syndrome/ superior oblique tendon sheath syndrome is caused by malfunction of superior oblique muscle, causing eye to have difficulty moving up, particularly during adduction (when eye turns towards the nose).